Drug that is used for fetal lung maturity is:
1. Dexamethasone
2. Folic acid
3. Beclomethasone
4. None

Correct answer: 1. Dexamethasone

Explanation: Ans. a. DexamethasoneRef: Williams Obstetrics 24th Ed; Page No-754ANTENATAL CORTICOSTEROID THERAPYA single dose of corticosteroids is recommended for pregnant women with gestational age 23-34 weeks of gestation who are at risk of preterm delivery within 7 days.A complete course isBetamethasone two IM 12-mg doses given 24 hours apartORDexamethasone four IM 6-mg doses given 12 hours apart.Lower severity, frequency, or both of respiratory distress syndrome, intracranial hemorrhage, necrotizing enterocolitis and death are seen such type of neonates whose mothers receive antenatal corticosteroids.